Which of the following is not a risk factor for breast carcinoma?
1. Saturated fatty acids
2. Early menopause
3. Nulliparous women
4. Oestrogen unopposed by progesterone

Correct answer: 2. Early menopause

Explanation: Causes for breast carcinoma are -

Oestrogen exposure, unopposed by progesterone
Nulliparous women
Mutations in the  BRCA1 and BRCA2 genes 
Early menarche/late menopause 
Family history 
Saturated dietary fats
Previous benign atypical hyperplasia